Phantom limb is based upon?
1. Law of projection
2. Weber s law
3. Munro kellie doctrine
4. Renshaw cell inhibition

Correct answer: 1. Law of projection

Explanation: ANSWER: (A) Law of projectionREF: Ganong's 22nd ed p. 125A phantom limb is the sensation that an amputated or missing limb (even an organ, like the appendix) is still attached to the body and is moving appropriately with other body part it is based upon law of projection:It states that no matter where a sensory pathway is stimulated along its course, the sensation produced is referred back to site of receptor.